All is true about branches of internal carotid artery EXCEPT:
1. Anterior choroidal artery is given in cerebral part
2. Ophthalmic artery is given in cerebral part
3. Posterior communicating artery is given in petrous part
4. Caroticotympanic artery is given in petrous part

Correct answer: 3. Posterior communicating artery is given in petrous part

Explanation: Posterior communicating artery is given in cerebral part of internal carotid artery.